In sickle cell anemia hemoglobin electrophoresis shows all of the following, except:
1. HbA
2. HbF
3. HbS
4. HbA2

Correct answer: 1. HbA

Explanation: In Sickle cell anemia Hemoglobin Electrophoresis shows Hb S/A:100/0 Hb F:2-25% and an elevated amount of Hb A2 typically >3.5%. Electrophoretic techniques are widely used for hemoglobin analysis. Electrophoresis at pH 8.6 on cellulose acetate membranes is simple, inexpensive, and reliable for initial screening. Agar gel electrophoresis at pH 6.1 in citrate buffer is often used as a complementary method. Mutant hemoglobins can be characterized by specialized techniques such as isoelectric focusing and/or high-pressure liquid chromatography (HPLC). Ref: Kliegman: Nelson Textbook of Pediatrics, 18th Education, Chapter 462 - Hemoglobinopathies ; Harrison's Internal Medicine, 18th Edition, Pages 854-5